In which of the following disorders,administration of barbiturates is contraindicated?
1. Anxiety disorders
2. Acute intermittent porphyria
3. Kernicterus
4. Refractory status epilepticus

Correct answer: 2. Acute intermittent porphyria

Explanation: Barbiturates induce the rate limiting enzyme amino levulanic acid synthase in porphyrin synthesis. This increased synthesis of prophyrins can precipitate acute attack of AIP Ref: KD Tripathi 8th ed.